Necrotising lymphadenitis is seen with
1. Kimura disease
2. Kikuchi disease
3. Castle Man disease
4. Hodgkin's lymphoma

Correct answer: 2. Kikuchi disease